A 10-year-old boy has a fracture of the femur. the biochemical evaluation revealed Hb 11.5 gm/dL, and ESR 18 Mini Ist hour. Serum calcium 12.8mg/dL, serum phosphorus 2.3 ing/dL, alkaline phosphatase 28 KA units and blood urea 32 mg/dL. Which of the following is the most probable diagnosis in his case-
1. Nutritional rickets
2. Renal rickets
3. Hyperparathroidism
4. Skeletal dysplasia

Correct answer: 3. Hyperparathroidism

Explanation: The clues given in this question are : -

1. Hypercalcemia         
2. Hypophosphatemia       
3. Raised alkaline phosphatase

All are seen in hyperparathyroidism
A low serum phosphorus level with hypercalcemia is characteristic of primary hyperparathyroidism. About other options
In Rickets (nutritional or renal) serum calcium will be decreased or normal (not increased).
Skeletal dysplasia has normal calcium and phosphorus levels.